Tract ABSENT in superior cerebellar peduncle
1. Tecto-cerebellar
2. Dentato thalamic
3. Dorsal spinocerebellar
4. Ventral spinocerebellar

Correct answer: 3. Dorsal spinocerebellar

Explanation: * Dorsal spinocerebellar fibers pass through inferior (not superior) cerebellar peduncle. Peduncle Afferent Middle cerebellar peduncle Cortico ponto cerebellar tract Inferior cerebellar peduncle Olivocerebellar tract Dorsal Spinocerebellar Superior cerebellar peduncle Ventral spinocerebellar Tectocerebellar * Efferent fiber of superior cerebellar peduncle : Dento Rubro thalamic tract